What is the mechanism of action of Delamanid ?
1. Inhibition of DNA Gyrase
2. Inhibition of Alanine Racemase
3. Inhibition of Mycolic acid synthesis
4. Inhibition of Topoisomerase

Correct answer: 3. Inhibition of Mycolic acid synthesis

Explanation: DELAMANID: It is an anti-tuberculosis agent derived from the Nitro-dihydro-imidazooxazole class of compounds. MOA: Forms a reactive intermediate metabolite that inhibits Mycolic acid production. USE: In treatment of multidrug-resistant (MDR-TB) and extensively drug-resistant tuberculosis (XDR-TB) in a combination regimen. S/E: QT segment prolongation